True regarding Dyslexia is following EXCEPT
1. Most common learning disorder
2. Familial disorder
3. May improve with time
4. Transient developmental lag

Correct answer: 4. Transient developmental lag

Explanation: Ans d (Transient developmental lag) (Ref: Nelson Textbook of paed 17th ed, p 111)DyslexiaIntroduction# Dyslexia is characterized by an unexpected difficulty in reading in children and adults who otherwise possess the intelligence, motivation, and opportunities to learn considered necessary for accurate and fluyent reading.# Dyslexia is the most common and most comprehensively studied of the learning disabilities (LD, affecting at least 80% of children identified as manifesting LD.# When asked to read aloud, most children and adults with dyslexia display a labored approach to decoding and recognizing single words, and approach characterized by hesitations, mispronunciation, and repeated attempts to sound out unfamiliar words.# In contrast to the difficulties they experience in decoding single words, individuals with dyslexia have the vocabulary, syntax, and other ghigher level abilities involved in comprehension.Etiolog# At a cognitive-linguistic level, dyslexia reflects deficits within a specific component of the language system, the phonologic moduyle, which is engaged in processing the sounds of speech.# Dyslexic individuals have difficulty developing an awareness that words, both spoken and written, can be segmented into smaller elemental units of sound--an essential ability given that reading an alphabetic language (i.e., English) requires that the reader map or link printed symbols to sound. Abundant evidence showss that the linguistic abilities related to learning to read involve phonology, with deficits in phonologic awareness best predicting dyslexia.# Theories of dyslexia that implicate the visual system or deficits in the temporal processing of auditory and visual stimuli have not been usufficiently substantiated b research.# Dyslexia is both familial and heritable.# Family history in one of the most important risk factorsl about half of children who have a parent with dyslexia as well as half of the siblings of dyslexics and half of the parents of dyslexics may have the disorder.# These data suggest that in dyslexic readers disruption of posterior reading systems underlies the failure of skilled reading to develop, while a shift to ancillary systems supports accurate, but not automatic, word reading.Epidemiology# Dyslexia may be the most common neurobehavioral disorder affecting children, with prevalence rates ranging from 5-10% in clinic-and school-identified samples to 17.5% in unselected population-based samples.# Several studies indicate similar numbers of affected males and females.# Both prospective and retrospective longitudinal studies indicate dyslexia is a persistent, chronic condition rather than a transient developmental lag.Clinical Manifestations# Difficulties in decoding and word recognition may vary according to age and developmental level. However the cardinal signs of dyslexia observed in school-aged children and adults are in inaccurate and labored approach to decoding, word recognition, and text reading.# Listening comprehension is typically robust.# In several studies, oder children have been found to improve reading accuracy over time, albeit without commensurate gains in reading fluency; they remain slow readers.# Difficulties in spelling typically reflect the phonologically based difficulties observed in oral reading.# A parental history frequently identifies early subtle language difficulties in dyslexic children.# Many children identified as dyslexic during the primary grades displayed difficulties playing rhyming games and learning the names for letters and numbers during the preschool and kindergarten years. Indeed, recent longitudinal studies demonstrate that kindergarten assessments of these language skills are highly predictive of latler reading skill.# Parents also frequently report that although their child relishes the opportunity to be read to, reading aloud to the parent or reading independently is resisted.# Dyslexia may co-occur with attention-deficit/hyperactivity disorder (ADHD).Diagnosis# At all ages, dyslexia is a clinical diagnosis.# The clinician seeks to determine through history, observation, and psychometric assessment if there are (1) unexpected difficulties in reading (i.e., difficulties in reading that are unexpected for the person's cognitive capacity as shown by his or her age, intelligence, level of education, or professional status( and (2) associated linguistic problems at the level of phonologic processing. There is no single test score that is patho9gnomonic of dyslexia.# The diagnosis should reflect a thoughtful synthesis of all the clinical data available.# Dyslexia is distinguished from other disorders that may prominently features reading difficulties, by the unique, circumscribed nature of the phonologic deficit, one not intruding into other linguistic or cognitive domains.# Family history, teacher/classroom observation, and tests of language (particularly phonology), reading, and spelling represent a core assessment for the diagnosis of dyslexia in children; additional tests of intellectual ability, attention, memory, general language skills, and mathematrics may be administered as part of a more comprehensive evaluation of cognitive, linguistic, and academic function.Treatment# The management of dyslexia demands a life-span perspective; early on, the focus is on remediation of the reading problems.# Newer knowledge of the importance of early language and phonologic skills may lead to the prevention of significant reading problems, even in predisposed children.# As a child matures and enters the more time-demanding setting of secondary school, the emphasis shifts to the important role of providing accommodations.# Until very recently school reading intervention was not based on rigorous scientific evidence; overall, it was too little too general, and too unsystematic.# Effective intervention programs are balanced; they provide systematic instruction in phonemic awareness, phonic fluency, vocabulary, and comprehension strategiles and provide ample opportunities for writing, reading, and discussing literature.# Taking each component of the reading process in turn, effective interventions improve phonemic awareness (PA): ability to focus on and manipulate phonemes (speech sounds) in spoken syllables and words.# The elements found to be most effective in enhancing PA, reading, and spelling skills include teaching children manipulate phonemes with letters; focusing the instruction on one or two types of phoneme manipulations rather than multiple types; teasching children in small groups; and providing systematic, explicit instruction rather than incidental instruction in PA. Providing instruction in PA is necessary buyt not sufficient to teach children to read.# Effective intervention programs include teaching phonics, that is, making sure that the begilnning reader understands how letters are letters are linked to sounds (phonemes) to form letter-sound correspondences and spelling patters.# Often overlooked, and critical to effectively teaching phonics, is to make sure that the instruction is explicit and systematic; phonics instruction enhances children's success in learning to read and systematic phonics instruction is more effective than instruction that teaches little or no phonics or teaches phonics haphazardly or in a "by-the-way approach.# The treatment of dyslexia in students in high school, college, and graduate school is typically based on accommodation rather than remediation.# College students with a childhood history of dyslexia requiree extra time in reading and writing assigments as well as examinations.# Many adolescent and adult students have been able to improve their reading accuracy, though without commensurate gains in reading speed. Other helpful accommodations include the use of laptop computers with spelling checkers, tape recorders in the classroom, recorded books, access to lecture notes, tutorial services, alternatives to multiple choice tests, and a separate quiet room for taking tests.